Zero order kinetics is seen in all except
1. High dose salicylates
2. Phenytoin
3. Ethanol
4. Methotrexate

Correct answer: 4. Methotrexate

Explanation: Zero order kinetics is seen in high dose of salicylates,ethanol and phenytoin. Ref-KDT 6/e p31